Bull's eye maculopathy is an adverse effect caused by
1. Chloroquine
2. Lumefantrine
3. Quinine
4. Primaquine

Correct answer: 1. Chloroquine

Explanation: Bull's eye maculopathy It is a rare dystrophy, also known asbenign concentric annular macular dystrophy (BCAMD). It causes a daboard, or ring-shaped, pattern of damage around the macula. It can be caused bychloroquineorhydroxychloroquine Side effects of antimalarial drugs Chloroquine (4-aminoquinoline) - Bull's eye maculopathy,confusion,psychosis,agranulocytosis. Primaquine (8-aminoquinoline ) - hemolytic anaemia in G6PD deficiency,leukopenia,agranulocytosis,leukocytosis,cardiac arrhythmias. Quinine - Cinchonism (constellation of symptoms:tinnitus,headache,nausea,dizziness,flushing,visual disturbances. Tafenoquine (8-aminoquinoline) - Hemolysis in G-6PD Def Pt